Maximum endo-capillary proliferation is seen in :
1. Membranous glomerulonephritis
2. Mesangio-proliferative glomerulonephritis
3. Focal segmental glomerulonephritis
4. Post streptococcal GN

Correct answer: 4. Post streptococcal GN

Explanation: Ans. (d) Post streptococcal GNRef: Robbiris pathology 9th ed. /909-910* PSGN is characterized by enlarged hyper-cellular glomeruli.* There is also swelling of endothelial cells & combination of proliferation, swelling, leukocyte infiltration obliterates capillary lumen.* Endo-capillary proliferation is also seen in MPGN